Which set of fatty acids is most effective increasing the cholesterol levels?
1. Linoleic and linolenic
2. Myristic and palmitic
3. Butyric and stearic
4. Oleic and palmitic

Correct answer: 2. Myristic and palmitic

Explanation: Lauric (12:0), myristic (14:0), and palmitic (16:0) acids raise cholesterol levels and are found primarily in animal fat and dairy products. Palmitic acid, the fatty acid that most effectively raises serum cholesterol levels, is also the major fatty acid found in palm and coconut oils. Stearic acid and fatty acids that have fewer than 10 carbon atoms tend not to raise cholesterol levels. Polyunsaturated fatty acids such as linoleic and linolenic and oleic acid (an w-9 monounsaturated fatty acid found as approximately 70% of the total fatty acid in olive oil and 55% in canola oil) tend to lower cholesterol levels. Ref : Biochemistry by U. Satyanarayana 3rd edition Pgno : 287